Kim et al classification system deals with
1. Apical constriction
2. Apical foramen
3. Isthmus
4. No. of canals

Correct answer: 3. Isthmus

Explanation: Kim et al classification of isthmus
Classification of the isthmus : by Hus & Kim et al
Type I - Is two or three canals with no notable communication.
Type II - Is two canals that possess a definite connection between the two main canals.
Type III - Is three canals that possess a definite connection between them.
Type IV- Is when the canals extend into the isthmus area.
Type V- Is the true connection or corridor throughout the section.